After surgery, there was 50ml bile output from abdominal drain 1st preoperative day. Management is
1. Intra biliary stent
2. Immediate exploration
3. T-tube drainage
4. Observation

Correct answer: 4. Observation

Explanation: "A small amount of biliary drainage following cholecystectomy should cause no alarm because it usually dissapears within 1 or 2 days. However, excessive bile drainage through the wound or drain site, jaundice, sepsis or a combination of these events early in post-operative period should suggest a bile-duct injury, as should copious biliary drainage for more than few post-op days Ref: Blumgart 5th edition Pg no : 524-525